"Chancroid" is caused by:
1. H. ducreyi
2. H. influenzae
3. H. aprophilus
4. All the above

Correct answer: 1. H. ducreyi

Explanation: H. ducreyi